Following is least common about angiodyplasia of colon -
1. Involvement of cecum
2. Involvement of rectum in 50% of cases
3. Affecting age group > 40 yrs.
4. Cause of troublesome lower G.I. hemorrhage

Correct answer: 2. Involvement of rectum in 50% of cases